Gold standard investigation in diagnosing PID is:
1. Anti chlamydial Ab
2. Laparoscopy
3. USG
4. Blood leucocyte count

Correct answer: 2. Laparoscopy

Explanation: Ans. B: LaparoscopyInvestigations in a case of PID:Physical examinationPregnancy test (to rule out anectopic pregnancy)White blood cell test (to rule out appendicitis)Genital culture (to look for gonorrhea and chlamydia).An endometrial biopsy (tissue sample removed from the endometrium)Sonogram (if abscesses are suspected)Culdocentesis (fluid sample taken from uterine sac)Laparoscopy are done.Laparoscopy is considered the "gold standard" for diagnosis of PID, because it allows visualization of the pelvic organs. The procedure involves inserting a tiny, flexible lighted tube through a small incision just below the navel.This procedure is recommended when results of the preliminary tests (physical exam, blood tests and cultures) are unclear.